Most common complication of chronic pancreatitis?
1. Ascitis
2. Pseudocyst
3. Splenic vein thrombosis
4. Pancreatic enteric fistula

Correct answer: 2. Pseudocyst

Explanation: Ans. is 'b' i.e., Pseudocyst o Pseudocysts occur in up to 10% of patients w-ith acute and in 20 to 38% of chronic pancreatitis cases. Thus they comprise the most common complication of chronic pancreatitis.